Which of the following is not true about polymyositis?
1. Limb-girdle weakness
2. Ophthalmoplegia
3. Para-neoplastic syndrome
4. Spontaneous discharge in EMG

Correct answer: 2. Ophthalmoplegia

Explanation: Polymyositis presents with symmetrical proximal muscle weakness. Pelvic girdle muscles are more involved than upper body muscles. Ocular muscles are never involved in generalized polymyositis. The actual onset of Poly-myositis is often not easily determined, and patients typically delay seeking medical advice for several months. This is in contrast to dermatomyositis, in which the rash facilitates early recognition. Polymyositis mimics many other myopathies and is a diagnosis of exclusion. It is a subacute inflammatory myopathy affecting adults, and rarely children, who do NOT have any of the following: 1. Rash, involvement of the extraocular and facial muscles, 2. Family history of a neuromuscular disease 3. History of exposure to myotoxic drugs or toxins 4. Endocrinopathy, neurogenic disease, muscular dystrophy 5. Biochemical muscle disorder (deficiency of a muscle enzyme)